Recurrent polyps are seen in:
1. Antrochoanal polyp
2. Ethmoidal polyp
3. Nasal polyp
4. Hypertrophic turbinate

Correct answer: 2. Ethmoidal polyp

Explanation: Ethmoidal Polyps They are mostly seen in adults. Etiology--usual cause of ethmoidal polyps is allergy Allergic nasal polyps are rarely, if ever seen in childhood. They are only seen in childhood in association with mucoviscoidosis. Ethmoidal polyps are also associated with: Bronchial asthma Aspirin intolerance Cystic fibrosis Nasal mastocystosis - Syndromes like: Kartageners/Young syndrome/Churg-Strauss syndrome It is generally bilateral Appear as multiple, sessile or pedunculated masses like a bunch of grapes Insensitive to touch and do not bleed on probing. Recurrence is common after removal.